20 year old female present with features of anemia. Blood tests: Hb - 5g/dL, MCV -52fL, MCHC - 20g/dL, PCV - 32% Diagnosis
1. Phenytoin toxicity
2. Fish tape worm infection
3. Hook warm infection
4. Blind loop syndrome

Correct answer: 3. Hook warm infection

Explanation: The findings in the question are suggestive are Iron deficiency anemia. Hookwarm infections can cause this among the given options.